Tonsillectomy is contraindicated in which of the following condition?
1. Small atrophic tonsils
2. Quinsy
3. Poliomyelitis epidemic
4. Tonsillolith

Correct answer: 3. Poliomyelitis epidemic

Explanation: Performing tonsillectomy during poliomyelitis epidemic is an absolute contraindication. Unimmunised children may develop polio following tonsillectomy. A tonsillectomy may be performed long after the epidemic has passed and the child is immunised against polio. Indications for Tonsillectomy: Recurrent episodes of acute tonsillitis that is more than four attacks a year Patients with recurrent sore throats and rheumatic fever and when tonsils cause repeated attacks of otitis media. Presence or history of a peritonsillar abscess or of diphtheria carriers. Massive tonsillar hypertrophy causing respiratory obstruction in children Sleep apnea Glossopharyngeal neuralgia